Sentinel biopsy most effective in:
1. Cervix cancer
2. Endometrium ca
3. Vulval ca
4. Vaginal ca

Correct answer: 3. Vulval ca

Explanation: Vulval carcinoma the lymphatic spread is primarily by embolisation and only in later stages the spread is by permeation to fill the lymphatic channels The lymph node involvement follows a sequential pattern. the lymphatics of labia->superficialinguinal lymph nodes->deep inguinal lymph nodes->pelvic nodes Regional lymph nodes are assessed clinically and also by MRI.,Sentinel node lymphoscintigraphy,ultrasound and PET. D.C.DUTTA'S TEXTBOOK OF GYNECOLOGY,Pg no:335,6th edition